Bilateral proptosis and bilateral 6th nerve palsy in seen is:
1. Cavernous sinus thrombosis
2. Meningitis
3. Hydrocephalus
4. Orbital Cellulitis

Correct answer: 1. Cavernous sinus thrombosis

Explanation: In cavernous sinus thrombosis, there is bilateral orbital involvement whereas in orbital cellulitis, it is unilateral.